Ovarian pregnancy is due to:
1. Previous sexually transmitted infections
2. Fertilisation of ovum in ovary
3. Bicornuate uterus
4. Pelvic tuberculosis

Correct answer: 2. Fertilisation of ovum in ovary

Explanation: Fertilisation of ovum in ovary